Use of Siegel's speculum during the examination of the ear provides all except
1. Magnification
2. Assessment of movement of the tympanic membrance
3. Removal of foreign body from the ear
4. As applicator for the powdered antibiotic in ear

Correct answer: 3. Removal of foreign body from the ear

Explanation: A normal tympanic membrane is mobile when tested with a pneumatic otoscope or Siegle's speculum.
It is also employed in the magnification as well as an applicator for providing antibiotic of ear.